True about cholera -
1. Gram negative rod
2. Associated with fever
3. Causes painful watery diarrhea
4. All

Correct answer: 1. Gram negative rod

Explanation: Ans. is `a' i.e., Gram negative rod Vibrio cholerae is a gram negative rod (bacillus). It causes painless watery diarrhea, without associated fever. Vibrios are highly susceptible to acids and gastric acidity provides an effective barrier against small dose of V. cholerae. Therefore, achlorhydria predisposes for infection by V cholerae.